Drug of choice for acute left ventricular failure:
1. Rapid digitalization
2. I/V Aminophylline
3. I/V Morphine
4. I/V Furosemide

Correct answer: 4. I/V Furosemide

Explanation: Ans. D: I/V Furosemide Diuretics remain the mainstay of therapy and current standard of care for acute heart failure. Intravenous administration of a loop diuretic (furosemide, bumetanide, torsemide) is preferred initially due to potential poor absorption of the oral forms in the presence of bowel edema. Treatment of Symptomatic Left Ventricular Systolic Dysfunction First Line (Class I recommendation) Diuretics and fluid restriction in patients who have evidence of fluid retention. ACE inhibitor - all patients, unless contraindicated (eg. renal artery stenosis, unstable renal function, hypotension) Beta-adrenergic blockade in all stable patients, unless contraindicated (eg. no or minimal evidence of fluid retention, no recent inotropic agent, no bronchospasm) Digitalis for the treatment of symptoms of Heart Failure, unless contraindicated (eg. renal insufficiency) Withdrawal of drugs known to adversely affect the clinical status of patients (e.g., nonsteroidal anti-inflammatory drugs, most antiarrhythmic drugs, and most calcium channel blocking drugs)